The number on the handle of a root canal instrument denotes
1. Length of the instrument in 1/10 of a millimetre
2. Length of the instrument in millimetres
3. Diameter at the tip in 1/100 of a millimetre
4. Diameter at the tip in 1/10 of a millimeter

Correct answer: 3. Diameter at the tip in 1/100 of a millimetre